Figure of 8 in chest X-ray -
1. Supracardiac TAPVC
2. Tetralogy of fallot
3. TGA
4. None of above

Correct answer: 1. Supracardiac TAPVC

Explanation: Ans. is 'a' i.e., Supracardiac TAPVC o Tertralogy of fallot- boot shaped hearto Transposition of great vessel- egg on sideo TPVC (supracardioe) - snownan or figure of 8 configuration